A child brought with suspected ingestion, presented with dry mouth, dilated pupil, difficulty in swallowing, delirium, dry & warm skin, the substance is
1. Anti-cholinergic
2. Sympathetic
3. Cholinergic
4. Alpha-blocker

Correct answer: 1. Anti-cholinergic

Explanation: Anti-cholinergic All the symptoms mentioned in this question are seen with anticholinergic compounds. Atropine, hyoscine (scopolamine) & hyoscyarnine are natural alkaloids with anticholinergic action. They are found in Dhatura, Atropa belladena, Hyoscyarnu.s niger. Poisoning with these substances are characteristically described as - Dry as a bone (Dryness of mouth & skin) - Red as a beet (Flushed face) - Blind as a bat (Dilated pupil) - Hot as a hare (Hyperpyrexia) - Mad as a wet hen (Delirium) Symptoms can also be described as 8 D's - Dryness of mouth Drunken gait Dysphagia Delirium Dilated pupils Drowsiness Dry hot skin Death d/t respiratory failure